As per WHO classification of xerophthalmia, X2 is:
1. Night blindness
2. Conjunctival xerosis
3. Bitot's spots
4. Corneal xerosis

Correct answer: 4. Corneal xerosis

Explanation: X2 : corneal xerosis World Health Organization Re- Classification of Xerophthalmia Signs Classification Ocular Signs XN Night blindness X1A Conjunctival xerosis X1b Bitot's spots X2 Corneal xerosis X3A Corneal ulceration - Keratomalacia involving one- third or less of the cornea X3B Corneal ulceration -keratomalacia involving one-half or more of the cornea XS Corneal scar XF Xerophthalmic fundus